Features of carcinoma penis are all except:
1. Circumcision soon after birth provides total immunity
2. Metastatic to inguinal nodes
3. Surgery treatment of choice
4. Transitional cell carcinoma

Correct answer: 4. Transitional cell carcinoma

Explanation: Ans: d (Transitional cell carcinoma)Ref: Bailey & Love, 24th ed, p. 1400 & 23rd ed, p. 1268, 1269